Delayed wound healing is seen in all except-
1. Malignancy
2. Hypertension
3. Diabetes
4. Infection

Correct answer: 2. Hypertension